What is found on mid palatine raphe of a young child:
1. Eruption cyst.
2. Bohn's nodule.
3. Epstein pearl.
4. All of the above.

Correct answer: 3. Epstein pearl.